True about Rheumatoid arthritis -a) Involves peripheral joints more commonly than axial jointsb) Does not decrease life expectancyc) A/w vasculitisd) Adrenal hyperplasia
1. a
2. bc
3. ad
4. ac

Correct answer: 4. ac

Explanation: Peripheral joints are involved more commonly than axial joints (in contrast to ankylosing spondylitis where axial joints are involved more commonly).


Rheumatoid vasculitis can involve any organ (heart, lung, bowel, liver, spleen, pancreas, lymph node & testes). Renal vasculitis is rare. Vasculitis of some degree is almost ubiquitous and in its most aggressive form can cause polyneuropathy, mononeuritis multiplex, cutaneous ulceration, dermal necrosis, digital gangrene and visceral infarction.